All are causes of prolapse of cervix EXCEPT:
1. Many MTP
2. Chronic cough
3. Menopause
4. Delivery of a big baby

Correct answer: 1. Many MTP

Explanation: Ans. A i.e. Many MTP